Hyperacute graft rejection is
1. Type I hypersensitivity
2. Type II hypersensitivity
3. Type III hypersensitivity
4. Type Iv hypersensitivity

Correct answer: 2. Type II hypersensitivity

Explanation: In this case preformed circulating antibody binds to graft endothelial HLA and also activates complement system.
Hence, this is Type II HS.